The tumor marker that is elevated most frequently in carcinoma of the gall bladder is
1. Alfa fetoprotein (AFP)
2. CA 125
3. CA 19 aEUR" 9
4. Carcino-Embryonic Antigen (CEA)

Correct answer: 3. CA 19 aEUR" 9

Explanation: . CA 19 aEUR" 9